Adequate vestibular depth is important for
1. Good aesthetics
2. Good occlusion
3. Good oral hygiene
4. Muscular function

Correct answer: 3. Good oral hygiene